Coliform test is for -
1. Air pollution
2. Water contamination
3. Sound pollution
4. None

Correct answer: 2. Water contamination

Explanation: Ans. is 'b' i.e., Water Contomination Bacteriological indicators of w ater contaminationo Presence of following organism indicate fecal contamination of water.Coliform : by all practical point of view it is assumed that all coliform are fecal in origin unless a non-fecal origin can be proved.Fecal streptococci or enterococci :They regularly occur in feces. Finding of fecal streptococci in water is regarded as important confirmatory evidence of recent fecal contamination water.Clostridium perfringens: They also regularly occur in feces. Presence of spore of Cl. perfringens and absence of coliform group indicate remote contamination of water.